Which of the following Lasers is most commonly used in Laryngeal surgery?
1. Co2 laser
2. Nd YAG laser
3. Argon laser
4. KTP laser

Correct answer: 1. Co2 laser

Explanation: The Carbon dioxide (CO2) laser is one of the most powerful and efficient lasers available and is a commonly used device for laryngeal surgery. Its prime benefit is its precision as a surgical scalpel and lack of deep tissue penetration leading to lesser subsequent scarring.